Enzyme activity measured in beri beri is:
1. Transketolase
2. Transamina se
3. Decarboxylase
4. Deaminases

Correct answer: 1. Transketolase

Explanation: A i.e. Transketolase